Most likely precipitating cause for acute hepato-cellular failure is?
1. Oral lactulose
2. Large IV albumin infusion
3. Large carbohydrate meal
4. Upper GI bleeding

Correct answer: 4. Upper GI bleeding

Explanation: Upper GI bleeding will provide the bacteria in the gut with lots of nutrition to multiply and this will lead to increase in production of ammonia.